Consumption of which of the following may lead to pellagra?
1. Jowar
2. Ragi
3. Bajra
4. All of the above

Correct answer: 1. Jowar

Explanation: Certain varieties of Jowar have high concentrations of leucine and may lead to pellagra. Ref: Park, 22nd edition pg: 582